Which nerve originates from trunk of brachial plexus
1. Long thoracic nerve
2. Dorsal scapular nerve
3. Axillary nerve
4. Suprascapular nerve

Correct answer: 4. Suprascapular nerve

Explanation: Suprascapular nerve arises from the trunk of C5 and C6. Long thoracic nerve arises from the nerve root of C5, C6And C7. Dorsal scapular nerve arises from the nerve root of C5. Axillary nerve arises from the posterior cord. REF: BD Chaurasia 7th edition Page no: 57 and 58.